NOT a side effect of Lithium
1. Leucopenia
2. Hypothyroidism
3. Polyuria
4. Hypercalcaemia

Correct answer: 1. Leucopenia

Explanation: (A) Leucopenia # RENAL: The renal side-effects occur in 10-50% of all patients on maintenance lithium therapy. Polyuria, polydipsia. Tubular changes. Nephrogenic diabetes insipidus. Nephrotic syndrome.> Gastrointestinal: These side-effects are nausea, vomiting, diarrhea, metallic taste and abdominal pain.> Dermatological: These include acneiform eruptions, papular eruptions and exacerbation of psoriasis.